In triage 'red' denotes
1. Critical, but likely to survive if treatment given early
2. Critical, likely to survive if treatment given within hours
3. Stable, likely to survive even if treatment is delayed for hours to days
4. Not breathing, pulseless, so severely injured that no medical care is likely to help

Correct answer: 1. Critical, but likely to survive if treatment given early

Explanation: First priority: Red - Critical, but likely to survive if treatment given earlySecond priority: Yellow - Critical, likely to survive if treatment given within hoursThird priority: Green - Stable, likely to survive even if treatment is delayed for hours to daysLast priority: Black - Not breathing, pulseless, so severely injured that no medical care is likely to helpBailey and love 26e pg: 422